Methods of learning in psychiatry are all except -
1. Modelling
2. Catharsis
3. Exposure
4. Response prevention

Correct answer: 2. Catharsis

Explanation: Learning in Psychiatry 

Based on principle of classical conditioning → systemic desensitization, exposure with response prevention, Aversion therapy.
Based on operant conditioning :- Positive reinforcement, negative reinforcement, Positive punishment, Negative punishment, modeling.